Which of the following statements about Recommended Daily Allowance is False?
1. The RDA is decided by a panel of experts and is based on scientific research
2. The RDA caters to the dietary requirement of all people
3. The RDA is often higher than the recommended minimum requirement
4. The RDA is based on the Estimated Average Requirement (EAR)

Correct answer: 2. The RDA caters to the dietary requirement of all people

Explanation: According to the standards of Recommended Dietary Allowance, it provides enough nutrients to meet the demands of about 97.5% of the population. It cannot be applied to the entire population as these recommendations does not imply for sick people. Ref: Park Textbook of Preventive and Social Medicine, 19th Edition, Page 501; Nutrition By Paul Insel, Don Ross, Kimberley McMahon, Melissa Bernstein, Page 52